Flaying is seen in
1. Split laceration
2. Stretch laceration
3. Avulsion
4. Incised looking lacerated wound

Correct answer: 3. Avulsion

Explanation: Avulsion It is a lacerated wound that is produced by a tangential force at an acute angle( shearing force). A portion of skin with soft tissues is found detached. This type of laceration usually occurs in traffic accidents. This happens when a heavy weight produces a shearing and rotatory force, like a lorry wheel passes over a limb. This is called flaying. ref: FORENSIC MEDICINE AND TOXICOLOGY Dr PC IGNATIUS THIRD EDITION PAGE NO 121